Which of the following values indicate normal portal venous pressure?
1. 5 - 10 mm Hg
2. 10 - 15 mm Hg
3. 20 - 25 mm Hg
4. 25 - 30 mm Hg

Correct answer: 1. 5 - 10 mm Hg

Explanation: Normal portal venous pressure is 5 - 10mmHg (10 - 15cm saline). Portal venous system contributes 75% of blood and 72% of oxygen supplied to the liver. Portal vein is formed by the confluence of superior mesenteric vein and splenic vein. In an average adult 1000-1500ml /min of portal venous blood is supplied to the liver. Reference: Schwartz's Principles of Surgery 9e chapter 31.